Which of the following is not a poor prognostic factor in neuroblastoma?
1. MYCN amplification
2. High mitosis-karyorrhexis index
3. Evidence of gangliocytic differentiation
4. Mutations of neuritogenesis genes

Correct answer: 3. Evidence of gangliocytic differentiation

Explanation: Unfavourable prognostic factors in neuroblastoma: Stage 3, 4 Age >18 months Absence of evidence of schwannian stroma and gangliocytic differentiation High Mitosis-karyorrhexis index (>200/5000 cells) Near-diploid (segmental chromosome losses; chromothripsis) MYCN Amplified Chromosome 1p loss Chromosome 11q loss Absent TRKA expression Presence of TRKB expression Mutations of neuritogenesis genes